InPHC how to dispose placenta-
1. Incineration
2. Microwaving
3. Autoclaving
4. Chemical treatment

Correct answer: 1. Incineration

Explanation: Ans. is 'a' i.e., Incineration o Human anatomical waste (human tissues organs, body parts), e.g. placenta, are disposed by incineration or deep burial.